Hemiballismus is due to lesion in?
1. Ipsilateral Caudate nucleus
2. Contralateral sub-thalamic lesion
3. Contralateral Putamen
4. Ipsilateral sub-thalamic lesion

Correct answer: 2. Contralateral sub-thalamic lesion

Explanation: Ans. (b) Contralateral subthalamic lesionRef: Harrison 19th ed. / 2623LesionManifestation* Caudate nucleusContralateral chorea* Globus pallidusContralateral atheotosis* Sub-thalamic nucleusContralateral hemiballismus* CerebellumIpsilateral intentional tremors* Internal capsuleContra-lateral hemiplegia with hemi- anesthesia* Ventral ponsLocked in syndrome